TRUE statement about right coronary artery is-
1. Diameter less than LCA
2. RCA gives anterior interventricular artery
3. RCA supplies major part of left atrium and left ventricle
4. RCA gives rise to circumflex coronary branch

Correct answer: 1. Diameter less than LCA

Explanation: Right coronary artery is smaller than Left coronary artery (Right side of myocardium is thinner compared to left). Arises from anterior aortic sinus (Left coronary artery arises from Left posterior coronary sinus) Right coronary artery runs in the right anterior coronary sulcus, & winds around the inferior border of the heart. It runs backwards in the right posterior coronary sulcus to reach posterior interventricular groove. Middle cardiac vein and posterior interventricular artery lies in the posterior interventricular groove. Right coronary artery terminate by anastomosing with circumflex branches of LCA.